The most potent and longest acting anaesthesia is:
1. Tetracaine
2. Bupivacaine
3. Dibucaine
4. Lidocaine

Correct answer: 3. Dibucaine